Following is/ are the indications of cryotherapy
1. Vasomotor rhinitis
2. Hemoangiomas
3. Epistaxis
4. All the above

Correct answer: 4. All the above

Explanation: Following are the indications of cryotherapy Vasomotor rhinitis Leukoplakia Mucous cysts Aphthous ulcers Hemangiomas Pappilomas Granulation tissue Epistaxis Carcinomas Adhesions